All the following amino acids contain a hydroxyl group, Except ?
1. Serine
2. Lysine
3. Threonine
4. Tyrosine

Correct answer: 2. Lysine

Explanation: Amino acids with side chains containing Hydroxyl groups: 1.Serine 2.Threonine 3.Tyrosine Lysine is an amino acid with the side chain containing Basic groups Reference: Explanation: Harper's Biochemistry; 30th edition; Chapter 3; Amino acids and Peptides